Least malignant thyroid cancer is -
1. Papillary carcinoma
2. Follicular carcinoma
3. Medullary carcinoma
4. Anaplastic carcinoma

Correct answer: 1. Papillary carcinoma